All of the following statements about Xanthogranulomatous inflammation are true, except:
1. Foam cells are seen
2. Yellow nodules are seen
3. Multinucleated Giant cells are seen
4. Assoicated with Tuberculosis

Correct answer: 4. Assoicated with Tuberculosis

Explanation: Tuberculosis is usually associated with caseating granulomatosis. Xanthogranulomatous inflammation is not seen in tuberculosis. Ref: Robbins pathologic basis of disease 6th edn/page 977.